Which of the following is not a component of Reynolds' Pentad in toxic cholangitis?
1. Right upper quadrant pain
2. Confusion
3. Septic shock
4. Markedly elevated transaminases

Correct answer: 4. Markedly elevated transaminases

Explanation: Reynold's pentad of acute obstructive cholangitis(suppurative cholangitis) includes - persistent right upper quadrant pain,persistent fever,persistent jaundice,shock(toxicity) and altered mental status. Reference:SRB's manual of surgery,5th edition,page no:651.